Stain not used for lipid -
1. Oil red
2. Congo red
3. Sudan III
4. Sudan black

Correct answer: 2. Congo red

Explanation: Special stains for fat: Frozen sections stained with Sudan IV or Oil Red-O give an orange-red color to the fat. Osmic acid gives a black color.